Primary pleural tumor is -a)  Mesotheliomab)  Myxomac)  Lipomad)  Fibroma
1. b
2. c
3. ac
4. ad

Correct answer: 4. ad

Explanation: Pleural tumors 

The pleura may be involved by primary or secondary tumors.
1. Primary tumors
Benign    → Solitary fibrous tumor (benign fibrous mesothelioma or benign mesothelioma or pleural fibroma).
Malignant →  Malignant mesothelioma.
2.   Secondary tumors
More common than primary tumors.
Most common primary sites are lung and breast.